Non-competitive Inhibitors
1. Increase Km
2. Decrease Km
3. Increase Vmax
4. Decrease Vmax

Correct answer: 4. Decrease Vmax

Explanation: Lower V max But Do Not Affect Km